All of the following statements are true related to histamine, except:
1. Histamine is a principal mediator of immediate transient response during acute inflammation.
2. It causes dilation of arterioles
3. It increases the permeability of venules
4. Histamine receptor agonists are used to treat allergies.

Correct answer: 4. Histamine receptor agonists are used to treat allergies.

Explanation: Histamine Stored as preformed molecules in mast cells and is therefore among the first mediators to be released during inflammation. Causes dilation of arterioles and increases the permeability of venules. Can cause contraction of some smooth muscles such as in lungs. H1 receptor antagonists that bind to and block the histamine receptors are used to inflammatory reactions (allergies).